All the following cause malignant hyperpyrexia except ?
1. N20
2. Halothane
3. Methoxyflurane
4. Isoflurane

Correct answer: 1. N20

Explanation: A i.e. N20